A 50-year old female presents with sudden blindness .There is Scalp tenderness. There is history of pain while combing the hair. Temporal artery biopsy shows intimal thickening with granulomatous inflammation. Diagnosis is
1. Giant cell arteritis
2. Takayasu arteritis
3. Polyarteritis nodosa
4. Microscopic Polyangtis

Correct answer: 1. Giant cell arteritis

Explanation: Blindness, Scalp tenderness, Jaw claudication, are feature of Giant cell ateritis.